All of the following are seen in persisting vomitting EXCEPT
1. Hypokalemia
2. Decreased K+ in urine
3. Elevated pH of blood
4. Metabolic alkalosis

Correct answer: 2. Decreased K+ in urine

Explanation: Presistant vomitting causes loss of hydrochloric acid, K+ Na+ ions and body fluids. Loss of HCl leads to metabolic alkalosis. Loss of K+ leads to hypokalemia which further increases the pH of blood (intracellular K+ ions come out in the ECF by exchanging with H+ ions of ECF). Hypokalemia should lead to decreased K+ in urine but this does not happen - Low Na+ and hypovolemia would lead to increased aldosterone secretion which would increase the reabsorption of Na+ ions in the distal renal tubular in exchange of K+ ions. Thus K+ ions excretion in urine is increased despite hypokalemia.